The gastrosplenic ligament is due to peritoneal reflection of which artery -
1. Splenic artery
2. Short gastric artery
3. Pancreatic artery
4. Common hepatic artery

Correct answer: 2. Short gastric artery

Explanation: Ans. is 'b' i.e., Short gastric arteryPeritoneal ligamentsGastrosplenic ligament extends from hilum of spleen to greater curvature of the stomach. It contains short gastric and left gastroepiploic vessels. It develops from dorsal mesogastrium.Linorenal ligament extends from hilum of spleen to anterior surface of the left kidney. It contains splenic vessels and tail of the pancreas. It develops from dorsal mesogastrium.A gastrophrenic ligament connects the greater curvature of the stomach to the diaphragm. It develops from dorsal mesogastrium.A phrenicocolic ligament connects left colic (splenic) flexure to the diaphragm. It supports the anterior border of the spleen.Falciform ligament is a sickle-shaped peritoneal fold connecting the anterosuperior surface of the liver to anterior abdominal wall and diaphragm. It demarcates the right and left lobes of the liver. It contains ligamentum teres (a remnant of a left umbilical vein) and paraumbilical vein. It develops of ventral mesogastrium (ventral part).Coronary ligaments It contains superior and inferior layers which connect the liver to the diaphragm, and encloses the triangular 'bare area of liver'. It develops from ventral mesogastrium.Triangular ligaments (a right and a left)These connect right and left lobes of the liver to the diaphragm. It develops from ventral mesogastrium.